Toxic megacolon is a complication of -
1. Ulcerative colitis
2. Crohn's
3. Aganglionic megacolon
4. Ischemic colitis

Correct answer: 1. Ulcerative colitis